True about Acute Primary Amoebic Meningoencephalitis is:
1. Meningitis caused by acanthamoeba species is acute in nature
2. Diagnosis is by demonstration of trophozoite in CSF
3. Caused by feco-oral transmission
4. More common in tropical climate

Correct answer: 2. Diagnosis is by demonstration of trophozoite in CSF

Explanation: Examination of the CSF for trophozoites may be diagnostically helpful, but lumbar puncture may be contraindicated because of increased intracerebral pressure. CT frequently reveals cortical and subcortical lesions of decreased density consistent with embolic infarcts. In other patients, multiple enhancing lesions with edema may mimic the CT appearance of toxoplasmosis. Demonstration of the trophozoites and cysts of Acanthamoeba on wet mounts or in biopsy specimens establishes the diagnosis. Culture on non-nutrient agar plates seeded with Escherichia coli also may be helpful. Fluorescein-labeled antiserum is available from the CDC for the detection of protozoa in biopsy specimens.
Reference: : Harrison’s  M E D I C I N E page no  1574